Interruption of transmission of disease:
1. Disease control
2. Disease eradication
3. Disease elimination
4. Disability limitation

Correct answer: 3. Disease elimination